All are causes of chronic granulomatous uveitis except-
1. Sarcoidosis
2. Tuberculosis
3. Brucellosis
4. Fuchs heterochromic iridocyclitis

Correct answer: 4. Fuchs heterochromic iridocyclitis

Explanation: The common organisms which excite this type of inflammation are those responsible for tuberculosis, leprosy, syphilis, brucellosis, leptospirosis, as well as most viral, mycotic, protozoal and helminthic infections. A typical granulomatous inflammation is also seen in sarcoidosis, sympathetic ophthalmitis and Vogt-Koyanagi-Harada's disease.